Which of the following term denotes a false sensory perception in the absence of an external stimuli?
1. Delusion
2. Illussion
3. Hallucination
4. Obsession

Correct answer: 3. Hallucination

Explanation: False sensory perception in the absence of an actual external stimuli is a perceptual abnormality called hallucination. Hallucinations are perceived as 'real' by the patient. It can be in different modalities like, sound (auditory), taste (gustatory), touch (tactile), sight (visual), smell (olfactory) and combined (multi-modal hallucinations).Ref: Kaplan & Sadock's Synopsis of Psychiatry: Behavioral Sciences : By Benjamin J Sadock, M.D, Page 244